What is the blood supply of the cervical esophagus-
1. Inferior thyroid artery
2. Superior thyroid artery
3. Bronchial artery
4. External carotid artery

Correct answer: 1. Inferior thyroid artery

Explanation: Arterial supply of esophagus
 Cervical part - Inferior thyroid artery
Thoracic part - esophageal branches of descending thoracic aorta, bronchial arteries.
Abdominal part - left inferior phrenic artery, left gastric artery.